Cardioselective beta blockers is contraindicated in
1. COPD
2. II & III degree heart block
3. Asthma
4. Tachycardia

Correct answer: 2. II & III degree heart block

Explanation: (B) II & III degree heart block# Except for those drugs specifically approved for use in heart failure, beta blockers are contraindicated in heart failure patients> Side effects of beta-blockers are related to their cardiac mechanisms and include bradycardia, reduced exercise capacity, heart failure, hypotension, and atrioventicular (AV) nodal conduction block.> Beta-blockers are therefore contraindicated in patients with sinus bradycardia and partial AV block.> Non-selective beta-blockers are contraindicated in patients with asthma or chronic obstructive pulmonary disease which is not a contraindication for cardioselective beta blockers.